Radon exposure is known to cause
1. Carcinoma lung
2. Leukemia
3. Carcinoma colon
4. Brain tumors

Correct answer: 1. Carcinoma lung

Explanation: ETIOLOGY OF CANCERS OF LUNG
■ Chromium,
■ Nickel, other metals
■ Tobacco smoking,
■ Ionising radiation (uranium)
■ Radon.
■ Asbestosis (May predispose to Bronchogenic carcinoma, mesothelioma, gastrointestinal cancer). Suspected Carcinogens